Pancreatitis may be produced by following drug :
1. Colchcine
2. L-Asparaginase
3. Ciprofloxacin
4. Nalidixic acid

Correct answer: 2. L-Asparaginase

Explanation: Ans. is 'b' i.e. L-asparaginase